Renal cell carcinoma is related to a gene located on a chromosome-
1. 3
2. 21
3. 22
4. 20

Correct answer: 1. 3

Explanation: Ans. is 'a' i.e., 3 o Clear cell carcinoma is the most common renal cell carcinoma and is associated with 3p deletion.Classification of epithelial neoplasms arising from the kidneyCarcinoma TypeCell of OriginCytogeneticsClear cellProximal tubule3p deletions (3p-), VHL gene mutations, 5q gainsPapillaryProximal tubuleTrisomy of chromosome 7 and 17 (+7,+17) Loss of Y chromosome (-Y)ChromophobeCortical collecting ductHypodiploid / Monosomy Loss of multiple chromosomes 1,2, 6,10,13,17,21, & YOncocyticCortical collecting ductUndeterminedEither karyotypically normal or contain limited number of karyotypic abnormalities including -1, -Y and translocations involving chromosome IICollecting ductMedullary collecting ductUndeterminedLosses of multiple chromosomes 1,6,14,15, & 22